Whitehead's varnish in gauze is used to arrest bleeding from:
1. Bleeding from capillaries.
2. Bleeding from bone.
3. Bleeding from skin.
4. All of the above.

Correct answer: 2. Bleeding from bone.